Most common symptom of lung carcinoma
1. Cough
2. Dyspnoea
3. Weight loss
4. Chest pain

Correct answer: 1. Cough